In intravenous pyelography, one contracted kidney indicates:
1. Hydronephrosis
2. Polycystic kidney
3. Chronic glomerulonephritis
4. Chronic pyelonephritis

Correct answer: 4. Chronic pyelonephritis

Explanation: Ans. Chronic pyelonephritis